Ebola virus belongs to?
1. Picornaviridae
2. Togaviridae
3. Flaviviridae
4. Filoviridae

Correct answer: 4. Filoviridae

Explanation: Ans. is 'd' i.e., Filoviridae